Testosterone in male secreted from:
1. Leydig cell
2. Sertoli cell
3. Seminal vesicle
4. Epididymis

Correct answer: 1. Leydig cell

Explanation: Ans. (a) Leydig cellRef: LB. Singh 9th ed. /14-16* Leydig cell secrete testosterone* Sertoli cells helps in maturation of spermatozoa* Epididymis:store sperm* Seminal vesicle: secretes thick alkaline fluid.